All the following are features of right sided heart failure, Except:
1. Increased PCWP
2. Pulsatile liver
3. Increased JVP
4. Positive hepatojugular reflex

Correct answer: 1. Increased PCWP

Explanation: Answer is A (Increased PCWP) Elevated Pulmonary capillary wedge pressure (1 PCWP) is a feature of left sided heart failure and not right sided heart failure. Failure of Right ventricle results in systemic congestion, and not pulmonary congestion and hence PCWP is not raised unless Right heart, failure is caused:secondary to Left sided failure. Left heart failure Left heart failure is defined as a clinical syndrome where the dominant feature is fluid congestion in the lungs (pulmonary) rather than in the systemic circulation The pulmonary capillary wedge pressure is typically elevated (1-PCWP) Predominant symptoms are related to passive congestion of lungs and pulmonary edema Dyspnea Orthopnea Paroxysmal Nocturnal Dyspnea (PND) Cough with Pink Frothy Sputum Rales / Crackles Right heart failure Right heart failure is defined as a clinical syndrome where the dominant feature is fluid congestion in the systemic circulation. The pulmonary capillary wedge pressure is normal (Normal PCWP) unless Right heart failure is caused secondary to left sided heart failure (Ted PCWP) (PCWP is not elevated in isolated Right heart failure) Predominant symptoms are related to passive systemic congestion Peripheral Edema Ascitis Congestive hepatomegaly (may be pulsatile) Congestive splenomegaly Weight gain Nocturia Raised JVP Positive Hepatojugular reflex